Which muscle is commonly affected in raised intracranial pressure?
1. Superior oblique
2. Lateral rectus
3. Inferior oblique
4. Inferior rectus

Correct answer: 2. Lateral rectus

Explanation: ABDUCENS Nerve is purely motor nerve It has longest intracranial course - (subarchanoid ) Hence in raised intra cranial tension first muscle to be paralysed is Lateral Rectus supplied by Abducens nerve False Localizing Sign